All are features of pyramidal tract lesion, Except :
1. Involuntary movement
2. Positive Babinski's sign
3. Spasticity
4. Increased deep tendon reflexes

Correct answer: 1. Involuntary movement

Explanation: Answer is A (Involuntary movement): Involuntary movement is a feature of Extra pyramidal Tract involvement and not pyrantidal tract involvement Features Structure involved Muscle tone Distribution of hyper tonus Shortening and lengthening reaction Involuntary movements Tendon reflexes Babinski sign Paralysis Pyramidal Tract Includes the Coico.spinal tract Spasticity (clasp-knife rigidity) Flexors of arm and extensors of leg Present Absent Exaggerated Positive Of voluntary movements Extra Pyramidal Trac Includes the basal ganglia and cerebellum Plastic (cogwheel rigidity) Generalised Absent Present Normal Negative No paralysis t